Nephrocalcinosis is seen in all except?
1. Polycystic kidney
2. Hyperparathyroidism
3. Medullary sponge kidney
4. Renal tubular acidosis

Correct answer: 1. Polycystic kidney

Explanation: Causes of Nephrocalcinosis Medullary sponge kidney Hyperparathyroidism/ Hypoparathyroidism Renal tubular acidosis Renal tuberculosis Hyperoxaluria Milk-alkali syndrome Sarcoidosis